A 70-year-old patient presents with dizziness and headache followed by left sided hemiparesis with right eye dilatation and ptosis. Most probable blood vessel damaged is:
1. Middle cerebral artery
2. Anterior communicating artery
3. Posterior cerebral artery
4. Basilar artery

Correct answer: 3. Posterior cerebral artery

Explanation: Ans: (c) Posterior cerebral arteryRef: Adams and Victor's Principles of Neurology, 10th edition, Page 804; Localisation in Clinical Neurology, 6th edition, Chapter 105EponymSiteCranial nerves involvedTracts involvedSignsArteries involvedWeber SyndromeBase of midbrainIIICorticospinal tractOculomotor palsy with crossed hemiplegiaProximal posterior cerebral arteryClaude syndromeTegmentum of midbrainIIIRed nucleus, superior cerebellar peduncles after decussationOculomotor palsy with contralateral cerebellar ataxia and tremorProximal posterior cerebral arteryBenedict syndromeTegmentum of midbrainIIIRed nucleus, corticospinal tract superior cerebellar peduncles after decussationOculomotor palsy with contralateral cerebellar ataxia, tremor, and corticospinal signs, choreoathetosisProximal posterior cerebral arteryNothnagel syndromeTectum of midbrainUnilateral or bilateral III nerveSuperior cerebellar pedunclesOcular palsies (IV), paralysis of gaze, nystagmus and ataxia Parinaud syndromeDorsal midbrain Supranuclear mechanism for upward gaze and dorsal midbrain, periaqueductal gray matterParalysis of upward gaze and accommodation; fixed pupils Millard Gubler syndromeUnilateral lesion of the ventrocaudal ponsFascicles of cranial nerves VI and VIIPyramidal tract, cranial nerve VI, cranial nerve VIIContralateral hemiplegia, Ipsilateral lateral rectus paresis, Ipsilateral peripheral facial paresis Raymond SyndromeUnilateral lesion of the ventral medial ponsAbducens nerve fascicles and the corticospinal tract but spares cranial nerve VIIPyramidal tract, cranial nerve VIIpsilateral lateral rectus paresis, contralateral hemiplegia Locked-in syndromeBilateral ventral pontine lesions Bilateral corticospinal tract involvement in the basal pontis, involvement of the corticobulbar fibers innervating the lower cranial nerve nucleiQuadriplegia, Aphonia Foville syndromeDorsal pontine tegmentumInvolvement of the nucleus and fascicle (or both) of cranial nerve VIICorticospinal tract, involvement of the PPRF or abducens nucleus, or bothContralateral hemiplegia (with facial sparing), Ipsilateral peripheral type facial palsy, Inability to move the eyes conjugately to the ipsilateral side involvement of the PPRF or abducens nucleus, or both Raymond- Cestan syndromeRostral lesions of the dorsal pons Involvement of the cerebellum, medial lemniscus and the spinothalamic tract, PPRFCerebellar signs (ataxia), Contralateral hypoesthesia with reduction of all sensory modalities (face and extremities), contralateral hemiparesis, paralysis of conjugate gaze toward the side of the lesion Marie-Foix syndromeLateral pontine lesions brachium pontis Involvement of cerebellar connections, corticospinal tract, spinothalamic tractIpsilateral cerebellar ataxia, Contralateral hemiparesis,Variable contralateral hemihypesthesia for pain and temperature Wallenburg syndromeLateral tegmentum of medullaSpinal V, IX, X, XILateral spinothalamic tract,spinocerebellar and ollivocerebellar tractsIpsilateral V, IX, X,XI palsy, Horner syndrome,-cerebellar ataxia; contralateral loss of painand temperature senseIntracranial vertebral artery or posterior inferior cerebellar arteryMedial Medullary syndrome (Dejerine's Anterior Bulbar Syndrome)Medial medullaXIICranial nerveXII,Corticospinal tract,medial lemniscusIpsilateral paresis, atrophy, and fibrillation of the tongue, Contralateral hemiplegia, Contralateral loss of position and vibratory sensationVertebral artery, anterior spinal artery, or the lower segment of the basilar arteryAvellis syndromeTegmentum of medullaXSpinothalamic tractParalysis of soft palate and vocal cord and contralateral hemianaesthesia Thalamic syndrome of Dejerine and Roussy Occlusion of thalamogeniculate branches of PCA